Quarternary ammonium compound disinfectants are ?
1. Anionic
2. Cationic
3. Neutral
4. Gases

Correct answer: 2. Cationic

Explanation: Quaternary ammonium compounds are cationic detergents. They have microcidal and viricidal activities. They can be used for instrument disinfection and skin antisepsis.